Which of the following arteries is a direct branch of the gastroduodenal artery -
1. Right gastric artery
2. Left gastric artery
3. Inferior pancreaticoduodenal artery
4. Right gastroepiploic artery

Correct answer: 4. Right gastroepiploic artery

Explanation: Gastroduodenal artery divides into right gastroepiploic and superior pancreaticoduodenal arteries.